Which of the following surgical approach for first described by Orringer for the management of carcinoma oesophagus
1. Tranhiatal
2. Thoracoscopic
3. Left thoracoabdominal
4. Right thoracoabdominal

Correct answer: 1. Tranhiatal

Explanation: Transhiatal approach for esophagectomy was described by Orringer. Useful in cancers of lower third of oesophagus Other methods or two-stage Ivor-Lewis method with thoracic and abdominal incisions and a three-stage McKeown operation with additional neck incision, particularly useful in proximal cancers. Reference: Bailey and Love 26 th edition page: 1011